The levels of nicotine in 6 cigarettes were 13.0, 11.8,
15.4, 17.4, 31.2 and 24.3 mg. The mean of these values is
1. 14.9
2. 15.9
3. 18.6
4. 8.4

Correct answer: 3. 18.6